In depression, there is deficiency of
1. 5-HT
2. Acetylcholine
3. Dopamine
4. GABA

Correct answer: 1. 5-HT

Explanation: The Karolinska Institute in Sweden first noted that low concentrations of the serotonin metabolite 5-hydroxyindoleacetic acid (5-HIAA) in the lumbar cerebrospinal fluid (CSF) were associated with suicidal behavior. CSF, neurochemical, and receptor studies support the hypothesis that reduced central serotonin is associated with suicide. Reference: Synopsis of Psychiatry, pages 766,767.